Which of following is not seen in nephritic syndrome –
1. Edema
2. Hematuria
3. HTN
4. Hypocholestremia

Correct answer: 4. Hypocholestremia